Complications of TPN are all Except
1. Aspiration pneumonia
2. Hypokalemia
3. Hypoglycemia
4. Hyperglycemia

Correct answer: 1. Aspiration pneumonia

Explanation: Related to nutrient deficiency Hypoglycaemia/hypocalcaemia/hypophosphataemia/hypomagnesaemia (refeeding syndrome) Electolyte abnormalities Chronic deficiency syndromes (essential fatty acids,zinc, mineral and trace elements) Related to overfeeding Excess glucose: hyperglycaemia, hyperosmolar dehydration, hepatic steatosis, hypercapnia, increased sympathetic activity, fluid retention, electrolyte abnormalities Excess fat: hypercholesterolaemia and formation of lipoprotein X, hyperiglyceridaemia, hypersensitivity reactions Excess amino acids: hyperchloraemic metabolic acidosis, hypercalcaemia, aminoacidaemia, uraemia Related to sepsis Catheter-related sepsis Possible increased predisposition to systemic sepsis Related to line On insertion: pneumothorax, damage to adjacent artery, air embolism, thoracic duct damage, cardiac perforation or tamponade, pleural effusion, hydromediastinum Long-term use: occlusion, venous thrombosis Aspiration is seen in eteral feeding Bailey and love 26th edition Pg:270